Nerve supply of adductors of thigh includes
1. Femoral nerve
2. Obturator nerve
3. Inferior gluteal nerve
4. Superior gluteal nerve

Correct answer: 2. Obturator nerve

Explanation: (B) Obturator nerve# Obturator Nerve:> Obturator nerve (L2 L3 L4) is the chief nerve of the medial (adductor) compartment of the thigh.> It is a branch of the lumbar plexus.> It enters the thigh by passing through the obturator canal.> Anterior division of obturator nerve supplies the following muscles: Pectineus, Adductor longus, Gracilis, Adductor brevis.> Posterior division of obturator nerve supplies following muscles: Obturator extemus, Adductor magnus, Adductor brevis.> Adductor magnus has double nerve supply. Its adductor part is supplied by the obturator nerve, while its hamstring part is supplied by the tibial part of the sciatic nerve.> Pectineus also has a double innervation; its anterior fibres are supplied by the femoral nerve and the posterior fibres by the obturator nerve> Obturator nerve also give branches to the hip and the knee joint so a lesion of the nerve may cause pain in the hip & knee joint.